Peripheral chemoreceptors responds to hyproxia by oxygen sensitive:
1. Na+ channel
2. Ca+2 channel
3. K+ channel
4. CI- channel

Correct answer: 3. K+ channel

Explanation: O2 levels are regulated almost entirely by peripheral chemoreceptors located in the carotid and aortic bodies; which in turn transmit appropriate signals to the respiratory center in the brain Carotid & aortic bodies have GLOMUS CELLS (multiple highly characteristic glandular - like cells) that synapse directly with nerve endings. Glomus cells have O2 sensitive K+ channels that are inactivated when blood Po2 decrease markedly. HYPOXIA O2 sensitive K+ channels inactivated. | Glomus cell depolarizes | Voltage gated Ca++ channel open, increase intracellular Ca++ | Neurotransmitter released, activates afferent neurons to CNS center of respiration.